Intermediate cementum is found at:
1. Coronal portion of the root.
2. Apical third of the root.
3. Middle third of the root.
4. Covers whole the root

Correct answer: 2. Apical third of the root.

Explanation: Intermediate cementum mostly found at apical third of posterior teeth.